Successional lamina shows at which stage of enamel organ of deciduous teeth:
1. Cap Stage.
2. Bud Stage.
3. Appositional Stage.
4. Bell Stage.

Correct answer: 4. Bell Stage.